Which of the following is an example of push back type clasp
1. Circumferential clasp
2. Bar clasp
3. Embrasure clasp
4. Indirect retainer

Correct answer: 2. Bar clasp